A person present with recurrent swelling on face and lips due to emotional stress.likely cause is
1. C1 esterase inhibitor deficiency
2. Allergy
3. Anaphylaxis
4. None of the above

Correct answer: 1. C1 esterase inhibitor deficiency

Explanation: Ref Robbins 9/e 238; 8/e p 235 Acquired angioedema due to deficiency of C1 esterase inhibitor, also called acquired angioedema and abbreviated C1INH-AAE, is a rare syndrome of recurrent episodes of angioedema, without urticaria, which is associated with B cell lymphoproliferative disorders in some patients